Hot spot on Tc-99 is seen in which parotid tumor?
1. Adenolymphoma
2. Adenoid cystic carcinoma
3. Acinic cell tumor
4. Adenocarcinoma

Correct answer: 1. Adenolymphoma

Explanation: Hot spot on Tc-99 is seen in adenolymphoma (also known as Warthin's tumor). Warthin tumor, or papillary cystadenoma lymphomatosum, is the second most common benign parotid tumor . Because of the high mitochondrial content within oncocytes, the oncocyte-rich Warthin tumor and oncocytomas incorporate technetium-99m and appear as hot spots on radionuclide scans.